Infant with down syndrome have A/E -
1. VSD
2. Duodenal atrestia
3. Leukaemia
4. Normal intelligence

Correct answer: 4. Normal intelligence

Explanation: Ans. is 'd' i.e., Normal intelligence